Pneumococcus can be differentiated from streptococcus by -
1. Type of hemolysis
2. Gram staining
3. Growth characteristics
4. Bile solubility

Correct answer: 4. Bile solubility